Transverse tear in intima of carotid arteries may be seen in:
1. Partial hanging
2. Judicial hanging
3. Bansdola
4. Garroting

Correct answer: 2. Judicial hanging

Explanation: Ans. B i.e. Judicial hangin